A baby on examination shows unilateral Moro's reflex with positive palmar grasp reflex. The site of lesion is –
1. C3–C4
2. C5–C6
3. C8–T1
4. C1–C2

Correct answer: 2. C5–C6

Explanation: Moro's reflex is a neonatal reflex which develops by 28th wk of gestation and disappears by 3-6 months of age.
Moro reflex is obtained by placing the infant in a semi-upright position. then the head is momentarily allowed to fall backwards with immediate re-support by the examiner's hand.
The child symmetrically abducts and extends the arms and flexes the thumbs, followed by flexion and adduction of upper extremities.

Unilateral Moro's reflex is seen in :

Erb's palsy (C5-C6) damage                       
Spastic hemiplegia       
Fracture of humerus or clavicle. 
Shoulder dislocation                              
Exaggerated Moro's reflex is seen in - cerebral damage.